Basal cell carcinoma spread by
1. Lymphatics
2. Haematogenous
3. Direct spread
4. None of the above

Correct answer: 3. Direct spread

Explanation: Basal cell carcinoma - Spread BCC usually spread by local invasion, rarely metastasizes Rodnet ulcer: It gradually destroys the tissues, it comes in contact with Lymphatic spread is not seen (Regional lymph nodes are not enlarged) Blood spread is extremely rare Ref: Sabiston 20th edition Pgno :748